Immediately following a traumatic injury to upper central incisor, pulp testing is negative. Treatment of choice would be:
1. Pulpectomy
2. Pulpotomy
3. Apexification
4. None of the above

Correct answer: 4. None of the above

Explanation: A negative response, however, is not reliable evidence of pulp death because some teeth that give such a response soon after the injury may recover vitality after a time.